Polytrauma patient back spine examination is by
1. Log roll
2. Barrel role
3. Chin lift
4. None

Correct answer: 1. Log roll

Explanation: Ans. (a) Log rollRef: Bailey 26th edition Page 329 * Log roll is performed for spine examination.* Log roll tor Spine Examination